Ferriman - Gallwey scoring system is used to quantify
1. Hypertrichosis
2. Galactorrhea
3. Hirsutism
4. Virilization

Correct answer: 3. Hirsutism

Explanation: F..Gallwey scoring system is used to quantify degree of Hirsutism.